Agnus Hunt traction used in
1. Flexion deformity of hip
2. Fracture femur shaft
3. Fracture neck of femur
4. Intertrochanteric fracture

Correct answer: 1. Flexion deformity of hip